Whiff test done for:
1. Gonococcal infections
2. Gardenella
3. Trichomoniasis
4. Candiasis

Correct answer: 2. Gardenella

Explanation: Ans. (b) GardenellaRef.: Shaws 15th ed. /131-132* Whiff test or amine test is done for gardenella (bacterial) vaginosis.* It is performed by adding a small amount of potassium hydroxide (KOH) to a microscopic slide containing the vaginal discharge. A characteristic fishy odor is considered a positive whiff test and is suggestive of bacterial vaginosis.